False about type 2 renal tubular acidosis.
1. proximal tubule defect
2. Urine pH >5.5
3. Anion gap is normal
4. Fanconi syndrome present

Correct answer: 2. Urine pH >5.5

Explanation: Urine pH >5.5 in RTA 1.